Colostrum contains all in excess of milk except
1. Protein
2. Fat
3. Mineral
4. Immimoglobulins

Correct answer: 2. Fat

Explanation: Colostrum is known to contain immune cells (as lymphocytes) and many antibodies such as IgA, IgG, and IgM. ... Other immune components of colostrum include the major components of the innate immune system, such as lactoferrin, lysozyme, lactoperoxidase, complement, and proline-rich polypeptides (PRP). Ref: guyton and hall textbook of medical physiology 12 edition page number: 664,665,666